Tumour arising from epiphysis is
1. Osteoclastoma
2. Osteochondroma
3. Osteoid osteoma
4. Enchondroma

Correct answer: 1. Osteoclastoma

Explanation: Ans: a (Osteoclastoma) Ref: Maheshwari, (rev) ed, p. 216Osteoclastoma is located at the epiphysis. Usually seen after epiphyseal fusion, by 20-40 yrsSites: Lower end of femur > upper end of tibiaBony lesions with site of originMetaphysisDiaphysisEpiphysisOsteosarcomaOsteomyelitisBrodie's abscessEwings sarcomaOsteoid osteomaMultiple myelomaSecondariesLymphomaOsteoclastomaChondroblastoma